Pentamidine therapy causes all, EXCEPT ?
1. Upper lobe infiltrates
2. Cavitation
3. Extrathoracic manifestation
4. None

Correct answer: 4. None

Explanation: Ans. is None o Patients who receive aerosolized pentamidine have increased frequency of upper lobe infiltrates. Pneumothorax also occurs. o Risk factor for extrapulmonary spread in patients with HIV is the administration of aerosolized pentamidine. o In patients with PCP who have been receiving aerosolized pentamidine for prophylaxis, one may see an X-ray picture of upper lobe cavitary disease.